All of the following maintain the stability of ankle joint except:
1. Cruciate ligament
2. Shape of the bones
3. Tendons of muscle which cross the joint
4. Collateral ligament

Correct answer: 1. Cruciate ligament

Explanation: Cruciate ligament Cruciate ligaments are found in the knee and not ankle. Cruciate ligaments are pairs of ligaments arranged like a letter X. They are the anterior cruciate ligament (ACL) and the posterior cruciate ligament (PCL). They maintain anteroposterior stability of the knee joint.